Formation of primary palate is from which of the following ?
1. Lateral nasal prominences
2. Medial nasal prominences
3. Maxillary prominences
4. Mandibular prominences

Correct answer: 2. Medial nasal prominences

Explanation: Definitive palate =Fusion of primary and secondary palate ventrally in a Y shaped manner. Primary palate- From inter-maxillary segment (fusion of 2 medial nasal prominence) Secondary palate-From fusion of lateral palatine process ( from maxillary process)